Which of the following is not a granulomatous diseases
1. Leprosy
2. TB
3. Sarcoidosis
4. Amebiasis

Correct answer: 4. Amebiasis

Explanation: ref Robbins 9/e p98 Chronic Granulomatous Disease (CGD) is an inherited primary immunodeficiency disease(PIDD) which increases the body's susceptibility to infections caused by certain bacteria and fungi.Granulomas are masses of immune cells that form at sites of infection or inflammation